Which among the following is the immediate cause of death in electric shock?
1. Cervical spine injury
2. Cardiac arrhythmias
3. Rhabdomyolysis
4. Hemorrhage

Correct answer: 2. Cardiac arrhythmias

Explanation: Ans: b) Ref: Reddy 21 ed pg 291, 292Mode of injury depends upon the route taken by the electric current in the human body.Any circuit from limbs to head involve the brainstem and upper cervical cord and death occurs from paralysis of medullary respiratory centre.Any arm to arm circuit or left arm to either leg circuit involves the heart and death occurs from VF or cardiac arrest without fibrillation.